Tensilon test is used for?
1. Botulism
2. Arsenic
3. Iron
4. Phenol

Correct answer: 1. Botulism

Explanation: TENSILON TEST : edrophonium is used to differentiate botulism from myasthenia gravis. Botulism Tensilon test Arsenic Marsh Test Iron Desferrioxamine colour test Phenol Ferric chloride test